All of the following are true about transfusion protocol except:
1. BT should commence within 60 minutes of removing blood bag from refrigerators
2. Whole blood or packed RBC transfusion must be completed within 4 hours
3. Transfusion set should have standard filter of 170 mm size
4. Usual transfusion needle size should be of 18-19 gauge

Correct answer: 1. BT should commence within 60 minutes of removing blood bag from refrigerators

Explanation: TRANSFUSION PROTOCOLS - BT should commence within 30 minutes of removing blood bag from refrigerators because of increased risk of bacteria contamination. - Whole blood or packed RBC transfusion must be completed within 4 hours. - Platelet and FFP transfusion should be completed within 20 mintues - Transfusion set should have standard filter of 170 mm size -Usual transfusion needle size should be of 18-19 gauge.